Doc for Infantile hemangioma is
1. Bevacizumab
2. Imiquimod
3. Propanalol
4. Potassium Iodide

Correct answer: 3. Propanalol

Explanation: Propanalol is the drug of choice for Infantile hemangioma.